Snow storm ascites is seen in-
1. Meconium ileus
2. Hirschsprung disease
3. Ileocaecal tuberculosis
4. Pseudomyxoma peritonei

Correct answer: 1. Meconium ileus

Explanation: Ans. is 'a' i.e., Meconium ileus